All of the following are "Utilization rates" except:-
1. Population bed ratio
2. Bed occupancy rate
3. Bed turnover ratio
4. Average length of stay

Correct answer: 1. Population bed ratio

Explanation: Health care delivery indicators Health care utilization indicators Doctor-population ratio Doctor-nurse ratio Population - bed ratio Population per health centre Population per birth attendant % fully immunised infants % pregnant women received ANC % population using contraceptives Bed occupancy rate Average length of stay Bed turnover ratio - Hence, option-1 is answer, as it comes under health care delivery indicators not utilization indicators.